Nicoldoni sign is also known as
1. Murray sign
2. Frei sign
3. Darrier sign
4. Branham sign

Correct answer: 4. Branham sign

Explanation: Branham sign (or Nicoladoni sign): This sign is elicited when arteriovenous fistula is suspected. A pressure on the artery proximal to the fistula will cause: a. Reduction in size of the swelling. b. Disappearance of bruit. c. Fall in pulse rate. d. Pulse pressure returns to normal. Reference : page 1193 SRB's manual of surgery 5th edition